Which of the following statements is true regarding fat embolism-
1. Most patients with major trauma involving long bones have urinary fat globules
2. All patients with urinary fat globules develop fat embolism
3. Peak incidence of respiratory insufficiency for pulmonary fat embolism is around day 7 after injury
4. Heparin as an anticoagulant decreases mortality and morbidity in fat embolism syndrome

Correct answer: 1. Most patients with major trauma involving long bones have urinary fat globules

Explanation: Fat embolism syndrome occur when fat enters the blood stream (fat embolism) and results in symptoms.Symptoms generally begin within a day. This may include a petechial rash, decreased level of consciousness, and shortness of breath. Other symptoms may include fever and decreased urine output. The risk of death is about 10%. Fat embolism most commonly occurs as a result of fractures of bones such as the femur or pelvis.[Other potential causes include pancreatitis, orthopedic surgery, bone marrow transplant, and liposuction.The underlying mechanism involved widespread inflammation. Diagnosis is based on symptoms Ref Davidson 23rd edition pg 986